The headquarters of UNESCO is located in
1. New Delhi
2. Geneva
3. Paris
4. New York

Correct answer: 3. Paris

Explanation: UNESCO: ParisUNICEF: NewyorkWHO: Geneva